Vitamin A requirement in infant is –
1. 350 g
2. 600 g
3. 800 g
4. 1000 g

Correct answer: 1. 350 g